Which of the following is TRUE about desmoid tumors
1. Alterations in the Aderoniatous Polypotis Coli (APC) / p-coctemia pathway are noted
2. They consist of proliferating malignant-appearing fibroblastic cells with abundant mitose
3. Primary modality of treatment is radiotherapy
4. They have a strong tendency to metastasize

Correct answer: 1. Alterations in the Aderoniatous Polypotis Coli (APC) / p-coctemia pathway are noted

Explanation: . Alterations in the Aderoniatous Polypotis Coli (APC) / p-coctemia pathway are noted